Auto immune destruction of platelets is seen in
1. SLE
2. Chronic Lymphocytic leukemia
3. HIV
4. All the above

Correct answer: 4. All the above

Explanation: Answer is D (All of the above): CLL and HIV may all cause autoimmune destruction of platelets or immune thrombocytopenia